Capnography is used for assessment of
1. Oxygen saturation of blood
2. Amount of CO2 transported in blood
3. Ventilation of lung after intubation
4. Myocardial perfusion

Correct answer: 3. Ventilation of lung after intubation

Explanation: Capnography is the method of determining CO2 levels in exhaled gases (PACO2) but NOT blood.It is the ideal confirmatory method of endotracheal intubation(VENTILATION OF LUNG AFTER INTUBATION) Aeral blood gas analysis is used to measure CO2 levels in Blood (PaCO2) Pulse oxymetry is used to measure oxygen saturation of blood and heart rate.